Cortical mastoidectomy in indicated in:
1. Cholesteatoma without complication
2. Coalescent mastoiditis
3. CSOM with brain abscess
4. perforation in Pars flaccida

Correct answer: 2. Coalescent mastoiditis

Explanation: Schwartz operation is another name for cortical/sample mastoidectomy